Which of the following procedure isassociated with maximum chance of re-canalization during surgery for reversal of tubal ligation :
1. lsthumo-isthmic anastomosis
2. Isthumo-ampullary anastomosis
3. Ampullo-ampullary anastomosis
4. Cornual obstruction

Correct answer: 1. lsthumo-isthmic anastomosis

Explanation: Ans. is a i.e. Isthmo-isthmic anastomosis